A 64-year-old male is to undergo an elective laparotomy procedure. The proposed wound is considered as "clean-contaminated."The wound characteristic indicates which of the following?
1. Entry of intestinal or urinary tract without significant spillage
2. Gross spillage from intestinal tract
3. No entry of intestinal tract
4. Entry into infected tissue

Correct answer: 1. Entry of intestinal or urinary tract without significant spillage

Explanation: If spillage is substantial or infected tissue has entered, the wound is classified as contaminated. Dirty wounds are used for drainage of an abscess or debridement of infected tissue.